Tinea incognito is seen with -
1. Steroid treatment
2. 1% BHi3
3. 5% permethrin
4. Antibiotics

Correct answer: 1. Steroid treatment

Explanation: Tinea incognito- corticosteroid modified tinea. Clinical features: topical corticosteroids will suppress the inflammation , less visible lesions. Raised margins will be diminished scaling is lost and inflammation is reduced. Concentric rings with steroid induced erythema , atrophy telengiectasia are seen . Iadvl textbook of dermatology page 271